Cerebellar connection to other parts of the brain is projected through which cell -
1. Golgi cells
2. Basket cells
3. Purkinje cells
4. Oligodendrocytes

Correct answer: 3. Purkinje cells

Explanation: The axons of purkinje cells are the only output through cerebellar cortex.
However, it should be kept in mind that the output from the cerebellum is through deep nuclei, purkinje cells axons generally pass to deep nuclei.